Linear deposits along glomerular basement membrane are seen in -
1. Good pasture syndrome
2. SLE
3. Drug reaction
4. HS purpura

Correct answer: 1. Good pasture syndrome

Explanation: Goodpasture syndrome, the prototype disorder of this group, is an uncommon but intriguing condition characterized by a proliferative, usually rapidly progressive glomerulonephritis and hemorrhagic interstitial pneumonitis. Both the renal and the pulmonary lesions are caused by antibodies targeted against the noncollagenous domain of the a3 chain of collagen IV. These antibodies can be detected in the serum of more than 90% of persons with Goodpasture syndrome. The characteristic linear pattern of immunoglobulin deposition (usually IgG, sometimes IgA or IgM) that is the hallmark diagnostic finding in renal biopsy specimens also may be seen along the alveolar septa. Ref: Robbins book of pathology. 6th ed. Page 485